Rickety rosary seen in all except -
1. Rickets
2. Scurvy
3. Chondrodystrophy
4. Syphilis

Correct answer: 4. Syphilis

Explanation: Ans. is 'd' i.e., Syphilis Rachitic (Rickety) rosary o The prominent knobs of bone at costochondral junctions of rickets patient is known as rachitic rosary or beading of ribs. o The knobs create the appearance of large beads under the skin of the rib cage, hence the name by analogy with the beads of a rosary. Differential diagnosis of enlargement of costochondral junction (Rosary) --> Rickets, Scurvy, Chondrodystrophy